The weight of the child at 3 years is usually times the birth weight –
1. 3
2. 4
3. 5
4. 7

Correct answer: 3. 5